Vertical transmission of toxoplasmosis most commonly occurs during which stage of pregnancy?
1. 1st trimester
2. 2nd trimester
3. 3rd trimester
4. During delivery

Correct answer: 3. 3rd trimester

Explanation: Vertical transmission of toxoplasmosis is maximum in the third trimester (60%). Risk of fetal transmission of infection during first trimester is 15% and 30% during second trimester. Fetus is at risk of infection only when the mother is seronegative. Affected babies develop hydrocephalus, choroidoretinitis, cerebral calcification, microcephaly and intellectual disability. Presence of IgM antinody in neonates indicates congenital infection.